Split lacerations are due to:
1. Blunt object
2. Sharp object
3. Sharp heavy object
4. Pointed object

Correct answer: 1. Blunt object

Explanation: Ans. Blunt object